Nasal polyps develop in patients with:
1. Aspirin intolerance
2. Fungal sinusitis
3. Chronic rhinosinusitis of non-allergic origin
4. All of the above

Correct answer: 4. All of the above

Explanation: Aetiology of nasal polyp formation is not well-understood. They are seen in:(i). Aspirin intolerance(ii). Allergic fungal sinusitis(iii). Chronic rhinosinusitis of both allergic and non-allergic origin(iv). Cystic fibrosis(v). Disorders of ciliary motility(vi). Churg-Strauss syndrome (asthma, fever, vasculitis and granuloma).